All of the following types of porphyria are autosomal dominant Except
1. Acute intermittent porphyria
2. Porphyria cutanea tarda
3. Congenital erythropoetic porphyria
4. Hereditary coproporphyria

Correct answer: 3. Congenital erythropoetic porphyria

Explanation: Congenital erythropoietic porphyria which is Autosomal recessive.PORPHYRIASEnzymeLocation of enzymeAssociated porphyriaType of porphyriaInheritanceSymptomsAminolevulinate synthaseMitochondriaX-linked sideroblastic anemiaErythropoieticX-linkedAminolevulinate dehydrataseCytosolALA dehydratase deficiencyHepaticAutosomal recessiveAbdominal pain, NeuropathyHydroxymethylbilane synthaseCytosolAcute intermittent porphyriaHepaticAutosomal dominantPeriodic abdominal pain, peripheral neuropathy, Psychiatric disorders, TachycardiaUroporphyrinogen synthaseCytosolCongenital erythropoietic porphyriaErythropoieticAutosomal recessiveSevere Photosensitivity with erythema, swelling and blistering.Hemolytic anemia,SplenomegalyUroporphyrinogen decarboxylaseCytosolPorphyria cutanea tardaHepaticAutosomal dominantPhotosensitivity with vesicles and bullaeCoproporphyrinogen oxidaseMitochondriaHereditary CoproporphyriaHepaticAutosomal dominantPhotosensitivity, neurologic symptoms,ColicProtoporphyrinogen oxidaseMitochondriaVariegate porphyriaMixedAutosomal dominantPhotosensitivity, neurologic symptoms, Developmental delayFerrochelataseMitochondriaErythropoietic protoporphyriaErythropoieticPhotosensitivity with skin lesions.Gallstones, mild liver dysfunctionTransient erythroporphyria of infancyPurpuric skin lesions